Triple bonds are found between which base pairs
1. A–T
2. C–G
3. A–G
4. C–T

Correct answer: 2. C–G

Explanation: Adenine is always paired with thymine by the formation of two hydrogen bonds. Guanine is always paired with cytosine by the formation of three hydrogen bonds.
Thus, the C-G bonds are more resistant to denaturation.